All are features of epidemic dropsy, except –
1. Glaucoma
2. Diarrhoea
3. Convulsion
4. Heart failure

Correct answer: 3. Convulsion